The study of multiplication of proteins in a disease process is known by which of the following terms?
1. Proteomics
2. Genomics
3. Glycomics
4. Nucleomics

Correct answer: 1. Proteomics

Explanation: Proteomics is the study of the proteome, which is defined as the entire protein complement of a genome. Ref: Harper's Illustrated Biochemistry 27th Edition, Page 28, 29 ; Proteomics of Biological Systems: Protein Phosphorylation By Bryan M. Ham, 2011, Page 20